According to 1991 census family size is -
1. 2.4
2. 5.5
3. 4.4
4. 5.9

Correct answer: 2. 5.5

Explanation: According to 1991 census average house hold size is 5.5. According to 2001 census it has declined to 5.3 Ref: Census of India, GOI